Kalu, a 6-year-old child, received tetracycline. Noticeable discoloration will be seen in:
1. Premolars, incisors and 1st molars
2. Canine and 2nd molars
3. Canines, premolars and 2nd molars
4. Incisors and 1st molars

Correct answer: 3. Canines, premolars and 2nd molars